Opsonisation is by -a) IgAb) IgEc) IgGd) IgM
1. ab
2. cd
3. bd
4. ac

Correct answer: 2. cd